Polyopia is a symptom of:
1. Cortical cataract
2. Cupuliform cataract
3. Radiational cataract
4. Electrical cataract

Correct answer: 1. Cortical cataract

Explanation: Ans. Cortical cataract